Carboxylases require:
1. Vitamin B7
2. Vitamin B2
3. Vitamin B12
4. Vitamin B1

Correct answer: 1. Vitamin B7

Explanation: All carboxylases require Vitamin B7 i.e. Biotin. Biotin is a cofactor responsible for CO2 transfer for several carboxylase enzymes. WITH REGARD TO OTHER OPTIONS: Main biochemical role of- Vitamin B2: Oxidation-Reduction reactions, required for Glutathione Reductase Vitamin B12: Synthesis of Methionine, isomerization of Methyl Malonyl CoA to Succinyl CoA by Mutase Vitamin B1: Oxidative decarboxylation, for Transketolase of HMP.